Which is not the feature of compensated hypovolemic shock
1. Increased PR
2. Increased DBP
3. Increased SBP
4. Increased RR

Correct answer: 3. Increased SBP

Explanation: Compensated hypovolemic shock peripheral vasoconstriction occurs, so DBP raises, SBP remains normal.